Major mineral of the bone is -
1. Calcite
2. Hydroxyapatite
3. Calcium oxide
4. Calcium carbonate

Correct answer: 2. Hydroxyapatite

Explanation: Inorganic component of bone is consists of mineral phase which is principally composed of calcium and phosphate, mostly in the form of hydroxyapatite .